Sandhoff's disease is due to absence of which enzyme?
1. Beta–hexosaminidase
2. Beta–glucuronidase
3. Aryl sulphatase
4. Alpha galactosidase

Correct answer: 1. Beta–hexosaminidase

Explanation: Beta-hexosaminidase 

Sandhoff's disease is due to deficiency of Beta Hexosaminidase.